The mucogingival junction can be demonstrated by
1. Gention boiler
2. Schiler's potassium solution.
3. Disclosing solution.
4. Chlorhexidine.

Correct answer: 2. Schiler's potassium solution.

Explanation: Lugols iodine (or) schillers solution is used to stain keratinized gingival.